Hypercalcemia in ECG is diagnosed by-
1. Increased QT interval
2. Decreased QT interval
3. Increased PR interval
4. Tall T waves

Correct answer: 2. Decreased QT interval

Explanation: The main ECG abnormality seen with hypercalcaemia is shortening of QT interval In severe hypercalcaemia, Osborn wave (J waves) may be seen Ventricular irritability and VF arrest has been reported with extreme hypercalcaemia Increased PR interval and tall T waves are not seen in hypercalcemia Ref Harrison 20th edition pg 1523